All are true regarding satellite DNA EXCEPT?
1. Repeated DNA sequences in tandem
2. Clustered around centromere
3. Clustered around telomeres
4. Transcriptionally active

Correct answer: 4. Transcriptionally active

Explanation: Ans. is 'd' i.e., Transcriptionally active Repetitive sequences in DNAis also called (satellite DNA)These consist of 5-500 base pair lengths repeated many times.These are often clustered in centromeres (central protein of chromosomes where sister chromatids join each other) and telomeres (repeated sequence at the end of chromosomes).The majority of these sequences are transcriptionally inactiveand play a structural rolemicrosatellite sequences most commonly are found as dinucleotide repeats of AC on one strand and TG on the opposite strand.Microsatellite repeat sequences consist of 2-6 bp repeated upto 50 times. The AC repeat sequences occur at 50000-100000 locations in human genome.